Vitamin D analogue calcitriol is useful in the treatment of
1. Lichen Planus
2. Psoriasis
3. Phemphigus
4. Leprosy

Correct answer: 2. Psoriasis

Explanation: B. i.e. Psoriasis